Most common location of lymphoma in the G.I.T?
1. Stomach
2. Ileum
3. Mesentery
4. Colon

Correct answer: 1. Stomach

Explanation: Ans. (a) Stomach* Primary gastric lymphoma is an uncommon condition, accounting for less than 15% of gastric malignancies and about 2% of all lymphomas. However, the stomach is a very common extranodal site for lymphomas (lymphomas originating somewhere else with metastasis to stomach).It is also the most common source of lymphomas in the gastrointestinal tract.